De - quervian's tenovaginitis involves -
1. Abductor policies longus
2. Extensor pollicis brevis
3. Both of the above
4. None of the above

Correct answer: 3. Both of the above

Explanation: Ana. is 'c' i.e. Both of the above o de Quervain's tenovaginitis is characterized by pain over the styloid process of the radius and palpable thickening in the course of the abductor pollicis long us and extensor pollicis brevis tendons.o The fibrous sheaths of the abductor pollicis longus and extensor pollicis brevis tendons are thickened where they cross the tip of the radial styloid process,o The tendons themselves appear normal as does the synovial lining of the sheath.o The exact cause is unknown. Excessive friction from overuse may be a factor because the condition seems prone to follow repetitive actions such as wringing clothes, or in more recent times excessive typing or manipulations,o The condition is five times commoner in women than men, predominantly in middle age.o The main symptom is a pain on using the hand, especially when movement tenses the abductor pollicis longus and extensors pollicis brevis tendons (as in lifting a saucepan or a teapot).o On examination, there is local tenderness at the point where the tendons cross the radial styloid process.o The thickened fibrous sheath is usually palpable as a firm nodule.o Passive adduction of the wrist or thumb causes the patient to wince with pain,o Finkelstein's test is used to diagnose de Quervain's tenovaginitis.o To perform the test, the patients ask to flex their thumb and clench their fist over the thumb followed by ulnar deviation. This produces sharp pain along the distal radius.